Which muscle is responsible for unlocking of knee?
1. Popliteus
2. Quadriceps femoris
3. Semitendinosus
4. Semimembranosus

Correct answer: 1. Popliteus

Explanation: Ans. A PopliteusRef: BDC, vol II pg. 155* Quadriceps femoris is the main and only extensor of knee.* It produces locking action as a result of medial rotation of the femur during the last stage of extension.* To reverse this lock popliteus muscle comes into action and does so by the lateral rotation of femurRemember: Lock is: Quadriceps femoris muscle and, Key is popliteus muscle.Muscles producing movements at the knee jointMovementPrincipal musclesA. Flexion * Biceps femoris* Semitendinosus* SemimembranosusB. ExtensionQuadriceps femorisC. Medial rotation of flexed leg* Popliteus* Semimembranosus* SemitendinosusD. Lateral rotation of flexed leg * Biceps femorisExtra Mile* Quadriceps femoris incudes: Rectus femoris, Vastus Lateralis, Vastis Medialis, Vastus Intermedius.* Rectus femoris is also known as "kicking muscle"